Most common site for cystic Hygroma
1. Lower third of neck
2. Overlying the parotid gland
3. Along the Zygomatic prominence
4. Post auricular

Correct answer: 1. Lower third of neck

Explanation: Ans. (a) Lower third of neckRef: Bailey and Love 26th edition, Page 700* Cystic hygroma presents as swelling in posterior triangle in lower part of neck